Not a nucleic acid test
1. Western blot
2. Southern blot
3. Northern blot
4. Microarray

Correct answer: 1. Western blot

Explanation: The western blot (sometimes called the protein immunoblot) is a widely used analytical technique used in molecular biology, immunogenetics and other molecular biology disciplines to detect specific proteins in a sample of tissue homogenate or extract Ref-Harpers illustrated biochemistry 30/e p380